Common ocular manifestation in Trisomy 13 is ?
1. Capillary hemangioma
2. Bilateral microphthalmos
3. Neurofibroma
4. Dermoid cyst

Correct answer: 2. Bilateral microphthalmos

Explanation: Ans. is 'b' i.e., Bilateral micropthalmos